Which of the following is not a feature of cardiac tamponade?
1. Pulsus paradoxus
2. Kussmaul's sign
3. Electrical Alternans
4. Diastolic collapse of right ventricle on echocardiogram

Correct answer: 2. Kussmaul's sign

Explanation: Kussmaul's sign